All is true About venous drainage of esophagus EXCEPT
1. Esophageal veins drain into a submucosal plexus
2. Cervical esophagus drains directly into brachiocephalic veins
3. Thoracic esophagus drains into the azygous vein
4. Lower esophageal veins anastomose with the left gastric vein

Correct answer: 2. Cervical esophagus drains directly into brachiocephalic veins

Explanation: Abdominal part of esophagus Here, the veins drain partly into portal & partly into systemic circulation . Veins accompanying left gastric vein drain into portal vein. Others drain into hemiazygos, in thoracic cavity, & continue into vena azygous & superior vena cava. venous drainage of part of esophagus Cervical part - Drain into submucosal plexus then to inferior thyroid vein & then to brachiocephalic veins Thoracic part - Azygous veins Abdominal part - Drains into left gastric vein & vena azygous hemiazygous vein.